The triangular area bounded by clitoris, fourchette and labia minora is
1. Fossa navicularis
2. Fouchette
3. Vestibule
4. Vulva

Correct answer: 3. Vestibule

Explanation: Vestibule : It is a triangular area bounded Anteriorly by clitoris Posteriorly by fourchette Either side by labia minora Ref: D.C. Dutta's Textbook of Gynaecology, 6th edition, page no: 2